Delusion of persecution is?
1. Delusion of jealousy
2. Delusion of being cheated
3. Delusion of defective body part
4. Delusion of love

Correct answer: 2. Delusion of being cheated

Explanation: Ans is 'b' i.e. Delusion of being cheated Persecutory delusions (paranoid)* This is the most common type of delusion. The patient feels that he is being persecuted against.* There is false belief that one is being harmed, threatened, cheated, poisoned, harassed or spied on or is a victim of conspiracy to damage his reputation.* The supposed persecutor of the patient may be people in the environment (e.g., members of family, neighbors, former friend) or may be political or religious groups.* These delusions occur in schizophrenia (especially paranoid, severe affective disorders (sever mania or severe depression), and organic brain syndrome.* Delusion of persecution may occur in the context of primary delusional experiences, auditory hallucinations, bodily hallucinations or experiences of passivity.